Which of the following periapical conditions is often associated with a vital pulp?
1. Apical cyst
2. Apical scar
3. Condensing osteitis
4. Chronic apical periodontitis

Correct answer: 3. Condensing osteitis